All of the following is antitussives EXCEPT -
1. Codeine
2. Dextromethorphan
3. Noscapine
4. Ambroxol

Correct answer: 4. Ambroxol

Explanation: (D) (Ambroxol) (218 - KDT 7th)Ambroxol is mucolytics.(A) ANTITUSSIVES (Cough centre suppressants)(a) Opioids: Codeine, Ethylmorphine, Pholcodeine.(b) Non opioids: Noscapine, Dextromethorphan, chlorphe dianol.(c) Antihistaminics - Chlorpheniramine, Diphenhydramine, Promethazine.(d) Peripheral acting: Prenoxdiazine(B) ADJUVANT AntitussivesBronchodilators - Salbutamol, Terbutaline.Expectorants (Mucolytics) - Bromhexine, Ambroxol, Acetylcysteine, Carbocisteine.